"Midyear polulation" is not the denominator of which mortality rate?
1. Crude death rate
2. Age-specific death rate
3. Weekly death rate
4. Proportional mortality rate

Correct answer: 4. Proportional mortality rate

Explanation: park's textbook of preventive and social medicine 23rd edition. *proportion mortality rate from a specific disease is equal to no of death from the specific disease in a year divided by total death from all cause in that year multiplied by 100.